Which protein is defective most commonly in dilated cardiomyopathy?
1. Dystrophin
2. Tropomyosin
3. Titin
4. Troponin

Correct answer: 3. Titin

Explanation: In dilated cardiomyopathy, mutations in TTN, a gene that encodes titin (so-called because it is the largest protein expressed in humans), may account for approximately 20% of all cases of DCM. Additionally, mutations affecting the membrane-associated dystrophin protein that couples cytoskeleton to the extracellular matrix are also reported.